Febrile seizure is called as 'complex' when it lasts for?
1. > 5 minutes
2. > 10 minutes
3. > 15 minutes
4. > 30 minutes

Correct answer: 3. > 15 minutes

Explanation: Febrile Seizures Def: Seizures + significant fever (104? F) Without any evidence of CNS infection in age 6 m - 5 years - Mc cause of Seizure in children < 5 years 2 Types Simple Complex GTCS Last < 15 min Single episode Focal sz Lasts >= 15 min. Multiple episodes Rx - Required only if seizure Lasting > 5 min At. Home - Buccal/Nasal Midazolam spray Or Per - rectal Diazepam In hospital - For ongoing sz treat like status epilepticus.